Ulcus serpens is caused by:
1. Pneumococcus
2. Pseudomonas
3. Gonococcus
4. All of the above

Correct answer: 1. Pneumococcus

Explanation: Ans. Pneumococcus